Which of the following markers is specific for gastro-intestinal stomal tumor (GIST)
1. CD117
2. CD34
3. CD23
4. S-100

Correct answer: 1. CD117

Explanation: most useful diagnostic marker of GIST is is c-KIT or CD117 REF :SYSTEMIC AND GENERAL PATHOLOGY RAMDAS NAYAK 2ND EDITION PAGE NO:390 Refer robbins 9/e